Passaro triangle is defined by all Except
1. Junction of the cystic duct and common bile duct superiorly
2. Junction of the second and third parts of the duodenum inferiorly
3. Junction of the neck and body of the pancreas medially
4. Junction of pylorus and antrum laterally

Correct answer: 4. Junction of pylorus and antrum laterally

Explanation: Gastrinoma triangle' (Passaro) defined by - the junction of the cystic duct and common bile duct superiorly, - the junction of the second and third parts of the duodenum inferiorly, and - the junction of the neck and body of the pancreas medially (essentially the superior mesenteric artery).Bailey and Love 26e pg: 1055